Which of the following lasers is most commonly used in Laryngeal surgery -
1. CO2 laser
2. Nd YAG laser
3. Argon laser
4. KTP laser

Correct answer: 1. CO2 laser